Tertiary hyperparathyroidism is-
1. High PO
4
 level with metastasis
2. Secondary hyperparathyroidism with CRF
3. Primary hyperparathyroidism with low Cam' levels
4. Secondary hyperparathyroidism with chief cell adenoma

Correct answer: 4. Secondary hyperparathyroidism with chief cell adenoma

Explanation: Davidson states "In very small proportion of cases of secondary hyperparathyroidism continuous stimulation of the parathyroid may result in adenoma formation and autonomous PTH secretion. This is known as tertiary ​hyperparathyroidism".